Which of the following type of corneal degeneration is associated with calcific changes in the Bowman's membrane with a characteristic Swiss cheese pattern?
1. Arcus senilis
2. Band keratopathy
3. Spheroid degeneration
4. Salzmann's degeneration

Correct answer: 2. Band keratopathy

Explanation: Band keratopathy is a type of corneal degeneration in which there is accumulation of calcium carbonate in in Bowman's membrane in the characteristic Swiss cheese pattern. It may start as areas of light grey opacity adjacent to the limbus nasally and temporally typically with small holes within the opacity. Later the opacity extends centrally and meet leading to a band of grayish haze across the cornea. It can occur secondary to conditions causing hypercalcemia such as sarcoidosis, Vitamin D toxicity, Still's disease and Fanconi's syndrome. It can also be caused due to chronic inflammation of the cornea and drug toxicity. Ref: The Wills Eye Hospital: Atlas of Clinical Ophthalmology edited by William Tasman, M.D page 57, Essentials of Ophthalmology By Neil J. Friedman, M.D. page 188.